Traveler's diarrhea is caused due to
1. Enterotoxigenic E. coil
2. Enterohemorrhagic E. coli
3. Enteropathogenic E. coli
4. Enteroinvasive E. coli

Correct answer: 1. Enterotoxigenic E. coil

Explanation: Persons from developed countries visiting endemic areas often suffer from ETEC diarrhea--a condition known as Traveler's diarrhea. Ref: Ananthanarayana textbook of Microbiology 9th edition Pgno : 275